The shake test shown below can be done to know:
1. Whether vaccine was exposed to heat
2. Whether vaccine had been frozen at some point of time in the cold chain
3. Whether expiry date of vaccine has reached
4. Whether the vaccine needs to be mixed with normal saline

Correct answer: 2. Whether vaccine had been frozen at some point of time in the cold chain

Explanation: Shake test: - Test done to check cold damage to Vaccine due to freezing. - Once the vaccine is frozen, it tends to form flakes which gradually settle to the bottom, after the vial is shaken. - Thus, sedimentation occurs faster in a vaccine vial which has been frozen as compared to control vial. - These vials should be discarded irrespective of their expiry date. - Used for DPT, DT, TT or Hepatitis B